Mayer-Rokitansky-Kuster-Hauser syndrome consists of -
1. Ovaries, uterus fallopian tubes present
2. Uterus absent, fallopian tube ovaries present
3. All absent
4. Uterus present tubes and ovaries absent

Correct answer: 2. Uterus absent, fallopian tube ovaries present

Explanation: Uterus absent, fallopian tube ovaries present Repeat from Nov 2009 Q no.160